A child presents with night blindness, delayed dark adaptation. Which investigation is to be done further to confirm the diagnosis?
1. Dark adaptometry
2. ERG
3. EOG
4. Retinoscopy

Correct answer: 2. ERG

Explanation: Retinitis pigmentosa * APOPTOSIS OF RODS * AUTOSOMAL RESSECIVE * AUTOSOMAL DOMINANT * X LINKED - WORST PROGNOSIS C/F* NYCTALOPIA * RING SCOTOMA * TUBULAR VISION O/E- TRIAD * PALE WAXY DISC* ARETRIOLAR ATTENUATION* BONE SPICULE PIGMENTATION ( MOST CHARACTERISTIC ) Gold standard for Dx - ERG EOG - Gold standard for best diseaseRetinoscopy - differentiate between type of refractive error